Good sources of vitamin 'C' are all except ?
1. Amala
2. Lime
3. Guava
4. Egg

Correct answer: 4. Egg

Explanation: Ans. is 'd' i.e., Egg Vitamin C Also known as ascorbic acid. It is the most sensitive of all vitamins to heat. Man, monkey and guinea pigs are the perhaps the only species known to require vitamin 'C' in their diet. The richest source of vitamin C is Indian goosebery (Amla). Important sources of vitamin C in decreasing order : ? Amla > Guava > Cabbage > Amaranth > Lime > Cauliflower > Orange > Spinach > Tomato > Potato